Both antibody-dependent and independent complement pathway converge at which complement component ?
1. C3
2. C5
3. C1a
4. C8

Correct answer: 1. C3

Explanation: All three pathways of complement activation lead to the formation of an active enzyme called the C3 convertase, which splits C3 into two functionally distinct fragments, C3a and C3b. C3a is released, and C3b becomes covalently attached to the cell or molecule where complement is being activated. More C3b then binds to the previously generated fragments to form C5 convertase, which cleaves C5 to release C5a and leave C5b attached to the cell surface. C5b binds the late components (C6C9), culminating in the formation of the membrane attack complex (MAC, composed of multiple C9 molecules). The terminal pathway that is common to all pathways of the complement system leads to the membrane attack complex and consists of factors C5, C6, C7, C8 and C9 (C5b6789). Reference: Robbins and Cotran Pathologic Basis of Disease; 9th edition; page 88, Chapter 3; Inflammation and Repair